BRAF acts as main proto-oncogene in?
1. Hairy cell leukemia
2. Langerhans cell histiocytosis
3. Melanoma
4. All of the above

Correct answer: 4. All of the above